The characteristic features of poisonous snakes are all except -
1. Long fangs
2. Compressed tail
3. Nocturnal habit
4. Belly scales are incomplete

Correct answer: 4. Belly scales are incomplete

Explanation: Belly scales are complete in poisonous snakes, i.e. belly scales cover entire breadth of belly.
Other three options are true regarding poisonous snakes.